A 70-year-old man was administered penicillin intravenously. Within 5 minutes, he developed generalized urticaria, swelling of lips, hypotension and bronchospasm. The first choice of treatment is to administer -
1. Chlorpheniramine injection
2. Epinephrine injection
3. High dose hydrocortisone tablet
4. Nebulized salbutamol

Correct answer: 2. Epinephrine injection

Explanation: Ans. is 'b' i.e., Epinephrine injection Generalized urticaria, swelling of lips, hypotension and bronchospasm within 5 minutes of taking penicillin suggest the diagnosis of anaphylactic type of hypersensitivity. Epienephrine (S.C./i.m.) is DOC for anaphylactic shock.